Which of the following is responsible for Bezold-Jarisch Reflex
1. Serotonin
2. Histamine
3. Prostaglandin
4. Angiotensin

Correct answer: 1. Serotonin

Explanation: Ans. (a) Serotonin(Ref: Ganong, 25th ed/p.592, 662)Bezold-Jarisch reflexIntracardiac injections of chemicals like serotonin, veratridine, capsaicin, phenylbiguanide activates this reflexAfferents for this reflex travel through unmyelinated vagal C fiber endingsThe reflex responses are:#Apnea followed by rapid breathing#Hypotension#BradycardiaClinical importance of Bezold-Jarisch reflex#This reflex is responsible for sinus bradycardia seen during myocardial infarction#This reflex is one of the causes for profound bradycardia and circulatory collapse after spinal anesthesia